Macular sparing is seen in lesion of -
1. Visual cortex
2. Optical tract
3. Optical chiasma
4. Optic nerve

Correct answer: 1. Visual cortex

Explanation: Ans. is 'a' i.e., Visual cortex Lesions of visual cortexo Features depend on the site of visual cortex involvement:i) Anterior part occipital cortex : - Congruous homonymous hemianopia with macular sparing. The lesion occurs due to occlusion of posterior cerebral artery.ii) Tip of occipital cortex : - Congruous homonymous macular defect, i.e., homonymous hemianopia only in the central vision (due to involvement of macula). The lesion occurs due to head injury or gun shot injuries. Pupillary light reflex is normal.